Which of the following is the "Least Common" complication of measles ?
1. Diarrhoea
2. Pneumonia
3. Otitis media
4. SSPE

Correct answer: 4. SSPE